Which of the following is precancerous lesion?
1. Pachydermia of larynx
2. Laryngitis sicca
3. Keratosis of larynx
4. Scleroma larynx

Correct answer: 3. Keratosis of larynx

Explanation: Keratosis of larynx/leukoplakia:? It is epithelial hyperplasia of the upper surface of one or both vocal cords. Appears as a white plaque or way growth on cord without affecting its mobility Regarded as a precarcerous condition as Ca in situ develops frequently T/t=stripping of cords